What is the etiology of Dressler Syndrome?
1. Viral
2. Autoimmune
3. Idiopathic
4. Toxin-mediated

Correct answer: 2. Autoimmune

Explanation: Dressler syndrome Autoimmune process. Post-pericardiotomy syndrome following myocardial infarction Unusual complication after percutaneous procedures such as coronary stent implantation, after implantation of epicardial pacemaker leads and transvenous pacemaker leads, and following blunt trauma, stab wounds, and heart puncture. Involves the pleura and pericardium